On both sides submental triangle is bounded by:
1. Hyoid bone
2. Anterior digastric
3. Posterior digastric
4. Mylohyoid

Correct answer: 2. Anterior digastric

Explanation: Submental triangle is bounded by anterior belly of digastric (laterally), midline of the neck b/w the mandible & the hyoid bone (medially) & base of hyoid bone.Mylohyoid muscle is at the floor & submental lymph nodes are the content.